Continuous murmur is found in-
1. Cardiomyopathy
2. Systemic A V fistula
3. Mitral stenosis
4. cardiac tamponade

Correct answer: 2. Systemic A V fistula

Explanation: A continuous murmur is predicated ona pressure gradient that persists betweentwo cardiac chambers or blood vesselsacross systole and diastole. The murmurstypically begin in systole, envelop thesecond heart sound (S 2 ), and continuethrough some portion of diastole. Theycan often be difficult to distinguish fromindividual systolic and diastolic murmursin patients with mixed valvular heart disease.The classic example of a continuousmurmur is that associated with a patentductus arteriosus, which usually is heardin the second or third interspace at a slightdistance from the sternal border. Othercauses of a continuous murmur includea ruptured sinus of Valsalva aneurysmwith creation of an aortic-right atrialor right ventricular fistula, a coronaryor great vessel arteriovenous fistula, andan arteriovenous fistula constructed toprovide dialysis access. Harrison's principle of internal medicine,20 edition,pg no.1445